The chief intracellular ion in our body is?
1. K+
2. Na+
3. Ca"
4. Mg"

Correct answer: 1. K+

Explanation: Ans. (a) K+ (Potassium)Ref : Ganong 25th ed. / 9Normal serum potassium= 3.5-5.5 meq/dlIntracellular potassium= 150 meq/dl